True about subendocardial hemorrhage are all exceptaEUR'
1. May be seen after head injury
2. Involves RV wall
3. Continuous pattern of sheet like
4. Flame shaped hemorrhages

Correct answer: 2. Involves RV wall

Explanation: Involves RV wall [Ref. Reddy 27/e p. 100 Subendocardial hemorrhages is a striking,feature seen in many autopsy cases. It was believed to be an insignificant finding without any particular reference to the cause of death. However latest reports have indicated that presence of subendocardial hemorrhages is an indicator of exsan.uinations and head injury -When subendocardial hemorrhages are present on autopsy. The mechanism of death is believed to be exsanguination or head injury - Cardiac lesions secondary to noncardiac injuries are believed to be caused due to massive production of catecholamine due to severe sympathetic stimulation The hemorrhages in the heart are strictly confined to the subendocardial tissue of the left ventricle, a fact, which distinguishes them on the one hand .from hemorrhages seen in anoxia which tend to he subpericardial and subpleural and on the other from the more wide spread hemorrhages some of which may also occur in sub endocardial tissue seen in severe toxemias, septicemias, blood dyscrasias and uremia Hemorrhages occur in three sites in the left ventricle Middle third of the interventricular septum is the most common site involved Base of the papillary muscle is the second most common site of involvement Posterior wall of the left ventricle is the third most common site of involvement The hemorrhages are flame shaped, confluent and tend to occur in one continuous sheet rather than patches. When the bleeding is severe, it may raise the endocardiums into a flat blister. They are believed to be caused due to massive production of catecho- lamine due to severe sympathetic stimulation